Refractive index of vitreous humor -
1. 1
2. 1.3
3. 14
4. 1.336

Correct answer: 4. 1.336

Explanation: Ans. is 'd' i.e., 1[?]336 Refractive indexMediumAirCorneaAqueous humourLensVitreous humorRefractive index1[?]0001[?]3761[?]3361[?]386-1-406 1[?]336